In right external auditory canal, warm water (44 deg,c) pressure applied for 40 seconds then
1. Right side nystagmus
2. Left side nystagmus
3. Circular nystagmus
4. No nystagmus

Correct answer: 1. Right side nystagmus

Explanation: (Right sided nystagmus): (92. P. Hazarika 3rd/ edition)* Cold water induces nystagmus to opposite side and warm water to the same side (mneumonic- COWS: cold- opposite, warm - same)CALORIC TEST (Filzgerald - Hallpike test)* Patient lies supine with head tited 30deg forward so that horizontal canal is vertical. Ear are irrigated for 40 second alternately with water at 30degc and at 44degc (ie 7deg below and above normal body temperature) and eyes observed for appearance of nystagmus till its end point* We can find -* Canal paresis or dead labyrinth* Directional preponderance (ie nytagmus is more in one particular direction than in the other)* Both canal paresis and directional preponderance